Which of the following tissues can metabolize glucose fatty acids, ketone bodies for ATP production?
1. Liver
2. Muscle
3. Brain
4. RBCs

Correct answer: 2. Muscle

Explanation: Liver can't utilise ketone bodies.
Brain can't utilise fatty acids.
RBCs can't utilise fatty acids and ketone bodies.